Shifting fluid sign is seen in:
1. Exudative retinal detachment
2. Tractional retinal detachment
3. Rhegmatogenous retinal detachment
4. Retinal hole

Correct answer: 1. Exudative retinal detachment

Explanation: Shifting fluid is seen in exudative retinal detachmentwhich occurs due to exudation of fluid from the choroid which collects in the subretinal space. -Causes: Inflammatory conditions like choroiditis, posterior scleritis Choroidal tumors like melanoma Toxemia of pregnancy Malignant hypertension Coats disease -Clinical features: Floaters due to vitritis but no photopsia Visual field defect Detached retina appears smooth & convex in configuration. No break is seen. -Treatment: Systemic steroids Treatment of the cause